Not a complication of acute viral Hepatitis?
1. Aplastic anemia
2. Acute pancreatitis
3. Autoimmune hepatitis
4. Hepatocellular carcinoma

Correct answer: 4. Hepatocellular carcinoma

Explanation: Hepatocellular carcinoma is complication of chronic hepatitis. TEXT BOOK OF HARSH MOHAN SIXTH EDITION